In the presence of a drug that blocks all effects of norepinephrine and epinephrine on the heart, the autonomic nervous system can
1. Raise the heart rate above its intrinsic rate
2. Lower the heart rate below its intrinsic rate
3. Raise and lower the heart rate above and below its intrinsic rate
4. Neither Praise nor lower the heart rate from its intrinsic rate

Correct answer: 2. Lower the heart rate below its intrinsic rate